Which of the following ECG leads is most sensitive in detecting intraoperative myocardial ischemia
1. Lead I
2. Lead II
3. Lead V1
4. Lead V5

Correct answer: 4. Lead V5

Explanation: Answer is D (Lead V5) The most sensitive lead in detecting intraoperative myocardial ischemia is lead V5 'If only one lead can be displayed V5 should be used because V5 has the greatest sensitivity: 75% intraoperatively and 89% during exercise treadmill testing'-Yao & Artusio's Anesthesiology: Problem Oriented Patient Management 6th/-150